What is the most common cause of respiratory distress in newborns?
1. Congenital pneumonia
2. Hyaline membrane disease
3. Congenital diaphragma c hernia
4. Transient tachypnea of the newborn

Correct answer: 4. Transient tachypnea of the newborn

Explanation: Transient tachypnea of the newborn is a respiratory problem that can be seen in the newborn shortly after delivery. It is caused by retained fetal lung fluid due to impaired clearance mechanisms. It is the most common cause of respiratory distress in term neonates. Ref : essential paediatrics op ghai 9edition Pg no : 210